Total number ofdorsal interossei -
1. 2
2. 3
3. 4
4. 5

Correct answer: 3. 4

Explanation: Ans.C.4Intrinsic muscles of Hand :4 thenar muscles: Abductor pollicis brevis, flexor pollicis brevis, opponenspollicis, adductor pollicis.4 hypothenar muscles: Palmaris brevis, abductor digitiminimi, flexor digitiminimi brevis, opponensdigitiminimi.4 lumbricals8 interossei: 4 dorsal interossei and 4 palmar interossei.